Certain obligations on the part of doctor who undertakes postmortem examination are following except :
1. The examination should be meticulus and complete
2. Routinely record all positive findings and important negative ones
3. He must keep the police informed about the findings
4. He must preserve viscera and send for toxi-cology examination in case of poisoning

Correct answer: 3. He must keep the police informed about the findings

Explanation: C i.e. He must keep the police informed about the findings It is not obligatory on the part of doctor to keep the police infonned about the findingsQ